Prohibition of participation in torture by a doctor comes under:
1. Declaration of Tokyo
2. Declaration of Helsinki
3. Declaration of Oslo
4. Declaration of Geneva

Correct answer: 1. Declaration of Tokyo

Explanation: Ans. Declaration of Tokyo